Sebaceous gland activity is mainly controlled by which hormone-
1. Estrogen
2. Androgens
3. Progesterone
4. Cortisole

Correct answer: 2. Androgens

Explanation: Sebaceous glands:Lipid producing glands. Arise from hair follicle at the junction if infundibulum and isthmus. A sebaceous gland+ associated hair follicle= Pilosebaceous unit. Although these glands are well developed at birth, they regress soon after and mature at puberty under hormonal influence especially androgen Ref Harrison20th edition pg 1209